Which of the following is/ are radiological features of fluorosis?
1. Osteosclerosis
2. Cortical thickening
3. Enthesopathy
4. All the above

Correct answer: 4. All the above

Explanation: Ans. is 'd' i.e., All the above Radiological features of fluorosis areo Osteosclerosis - particularly affecting the axial skeleton,o Cortical thickening with encroachment on medullary cavity,o Enthesopathy with ligamentous ossification,o Large spinal osteophytes.